Medical condition contraindicated for endodontic therapy:
1. Rheumatic heart disease
2. Patients with pacemaker
3. Controlled diabetic
4. None of the above

Correct answer: 4. None of the above